Causative agent of Yaws is:
1. Treponema pertenue
2. Treponema carateum
3. Treponema pallidum
4. Treponema endemicum

Correct answer: 1. Treponema pertenue

Explanation: Yaws is an endemic granulamatous disease caused by Treponema pallidum subspecies pertunae. Yaws is also known as frambesia, pian or parangi. Infection occurs by direct contact. Primary lesions, also called mother yaw, develop at the site of inoculation, which enlarges and breaks down to form ulcerating granuloma. Similar to syphilis, yaws can persist for years as a chronic, relapsing disease. Must know: Yaws pinta and endemic syphilis are the types of non veneral treponematosis. They are caused by subspecies of T.pallidum (T.pertunae, T.carateum and T.endemicium respectively). Ref: Textbook of Microbiology, By R. Ananthanarayan, C.K. Jayaram Paniker,b7th Edition, Page 385